WHO formation day is
1. 5-May
2. 7 April
3. 10-Jun
4. 10-Jul

Correct answer: 2. 7 April